A man uses nasal drops continuously for long period of time. What can be the possible adverse effect?
1. Mulberry turbinate
2. Allergic rhinitis
3. Vasomotor rhinitis
4. Rhinitis Medicamentosa

Correct answer: 4. Rhinitis Medicamentosa

Explanation: Rhinitis Medicamentosa (RM) The addiction to over the counter decongestant nasal sprays is referred to as "Rhinitis Medicamentosa" or "RM". As the name implies, RM refers to rhinitis (congestion) caused by medication (medicamentosa). Prolonged use of over-the-counter (OTC) decongestant nasal sprays which contain topical vasoconstrictors such as Oxmetazoline hcl, Phenylephrine hcl and Xylometazoline hcl are known to cause RM.